True about Buphthalmos –a) Large corneab) Haab's striac) Shallow ACd) Glaucomae) Medical treatment helps
1. abd
2. bcd
3. abc
4. ab

Correct answer: 1. abd

Explanation: Clinical signs of buphthalmos (congenital glaucoma) 

Cornea :- Corneal edema, Hazy cornea with frosted glass appearance, Haab's stria, Large cornea.
Thin & blue sclera
Deep anterior chamber
Antero-posteriorly flat lens which may be subluxated backward
Iridodonesis, atrophic patch on Iris
Large eye causing axial myopia
Varriable cupping & atrophy of disc with raised lOP

About option 'e'
"Medications are not very effective".   — Parson's